Treatment for the mitochondrial disorder is?
1. Ascorbic acid
2. Folic acid
3. Coenzyme Q-10
4. All of the above

Correct answer: 4. All of the above

Explanation: “Mito Cocktail” is the name given to a variety of vitamins and supplements which are commonly used by adults and children who have been diagnosed with mitochondrial disease. It includes :
1. Coenzyme Q-10 (Coenzyme Q10, CoQlO, CoQ-10, CoQ, ubiquinone)
2. L-Carnitine
3. B-Vitamins -Thiamine (B1), Riboflavin (B2), B3, B6, B12 and folic acid (B9)
4. Antioxidants - Vitamin C (ascorbic acid) and Vitamin E (tocopherol)